Auer rods are seen in -
1. AML
2. CML
3. ALL
4. CLL

Correct answer: 1. AML